After administrating live vaccine, immunoglobulins are given after -
1. 1 week
2. 2 weeks
3. 10 weeks
4. 12 weeks

Correct answer: 2. 2 weeks